One of the following leukemia almost never develops after radiation?
1. Acute myeloblastic leukemia
2. Chronic myeloid leukemia
3. Acute lymphoblastic leukemia
4. Chronic lymphocytic leukemia

Correct answer: 4. Chronic lymphocytic leukemia

Explanation: Radiation is not an etiological factor for CLL.